All of the following are true about tumors associated with BRCA-1 except:
1. Hormone receptor positive
2. Poorly differentiated
3. Chromosome -17
4. Early age onset

Correct answer: 1. Hormone receptor positive

Explanation: Tumors associated with BRCA-1 are hormone receptor negative. BRCA-1 BRCA-2 * Chromosome: 17 * Chromosome: 13 * BRCA-1 associated breast cancers: * BRCA-2 associated cancers: - Invasive ductal carcinomas - Invasive ductal carcinomas - Poorly differentiated - Well differentiated - Hormone-receptor negative - Hormone-receptor positive - Early age of onset - Early age of onset - Bilateral - Bilateral * Associated ovarian, colon and prostate cancers. * Associated ovarian, colon, prostate, pancreas, gall- bladder, stomach cancers and melanoma.